Person had severe pruritis while taking hot shower and presents with deep vein thrombosis. He also had JAK 2 mutation and hypertension. Which of the following is the most likely diagnosis of this patient?
1. Myelofibrosis
2. Polycythemia Vera
3. CML
4. AML

Correct answer: 2. Polycythemia Vera

Explanation: The presence of JAK2 mutation indicates that it is an example of Myeloproliferative disorder. Polycythemia vera is strongly associated with activating point mutations in the tyrosine kinase JAK2. Clinical features: Headache, dizziness, hypertension,Intense pruritus and peptic ulceration possibly resulting from the release of histamine from basophils. Hot showers ( AQUAGENIC PRURITUS ) will result in degranulation of the basophils thus releasing histamines.